More than 90% of this drug is excreted in the urine intact form. Because its urinary solubilities low, patient should be well hydrated to prevent nephrotoxicity.the drug is
1. Indinavir
2. Zidovudine
3. Acyclovir
4. Amantadine

Correct answer: 3. Acyclovir

Explanation: Ref-KDT 6 /769 Both indinavir and acyclovir can cause nephrotoxicity and renal stone formation.but indinavir is metabolized mainly in the liver and acyclovir is excreted unchanged in the urine